Which of the following ester local anesthetics undergo hepatic metabolism-
1. Procaine
2. Cocaine
3. Benzocaine
4. Tetracaine

Correct answer: 2. Cocaine

Explanation: Ester LA are predominantly metabolized by Pseudocholinesterase. Ester hydrolysis is very rapid and water soluble metabolite are excreted in urine. In contrast to other ester anesthetics cocaine is partially metabolized in the liver and partially excreted unchanged in urine.